Which of the following is true regarding concentration of proteins in senile cataract?
1. More insoluble protein, less soluble protein
2. More soluble protein, less insoluble protein
3. Equal concentration of soluble and insoluble protein
4. None of the above

Correct answer: 1. More insoluble protein, less soluble protein

Explanation: Ans. a. More insoluble protein, less soluble protein (Ref: Exp Eye Res. 2004 July; 79(1): 3-9. Molecular genetics of age- related cataract by J. Fielding Hejtmancika and Marc Kantorowb)'Lenses with cataracts contain more insoluble proteins.'Lens ProteinsThe lens is very high (35%) in protein and is therefore sensitive to protein deficiency.In young individuals, most lens proteins are soluble (alpha, beta and gamma crystallines).Lenses with cataracts contain more insoluble proteins.With age, some crystallines become insoluble which is important in senile cataractogenesis.The lens capsule immunologically 'walls off' the lens proteins from the immune system.